Mineral essential for Hb synthesis
1. Copper
2. Sodium
3. Potassium
4. Phosphorus

Correct answer: 1. Copper